Red infarcts occur in -
1. Kidney
2. Lung
3. Spleen
4. Heart

Correct answer: 2. Lung

Explanation: Red or hemorrhagic seen in soft loose tissues. Caused either by obstruction of the pulmonary artery in the lungs or by arterial or venous occlusion as in the intestine. reference: Harsh Mohan textbook of pathology,7th edition, pg no:112